Which is not a side effect of prostaglandin?
1. Vomiting
2. Fever
3. Convulsion
4. Diarrhea

Correct answer: 3. Convulsion

Explanation: Convulsions is not a side effect of prostaglandins. Side effects of prostaglandins includes: Nausea Vomiting Watery diarrhoea Uterine cramps Forceful uterine contractions Vaginal bleeding Flushing Fever Malaise Fall in BP Tachycardia Chest pain Ref: Essentials of Medical Pharmacology By K D Tripathi, 5th edn, Page 165